The following agents may be used as prophylaxis in high altitude pulmonary edema -
1. ACE inhibitor
2. Acetazolamide
3. Nifedipine
4. Digoxin

Correct answer: 3. Nifedipine